Which of the following causes rib-notching on the chest radiograph?
1. IVC occlusion
2. Coarctation of aorta
3. Bidirectional Glem shunt
4. Modified Blalock-Taussing shunt

Correct answer: 2. Coarctation of aorta

Explanation: Coarctation of aorta is associated with notching, typically of the inferior posterior aspects of the ribs (3rd through 8th). The number and location of notched ribs provides information regarding location of the coarctation. Ref: CURRENT Diagnosis & Treatment: Nephrology & Hypertension chapter 42; Essence of Paediatrics By Khan, 4/e page 153-8.